Which nerve is responsible for the referred pain of the ear
1. III Nerve
2. IX Nerve
3. XI Nerve
4. XII Nerve

Correct answer: 2. IX Nerve

Explanation: As ear receives nerve supply from 5th (auriculotemporal branch), 9th (tympanic branch),10th (auricular branch) cranial nerves and from c2 (lesser occipital) and c3(greater auricular), pain may be referred from these remote areas.